All are true regarding dying deposition except
1. Made to Judicial Magistrate only
2. Oath is needed
3. Cross examination permitted
4. Practiced in India

Correct answer: 4. Practiced in India

Explanation: Dying deposition It is the dying deposition taken by the Magistrate in the presence of the accused person or his lawyer who is allowed to cross examine the declarant. Oath is needed Accused or his lawyer present Cross examination permitted Not practiced in India More legal value Ref: FORENSIC MEDICINE AND TOXICOLOGY Dr PC IGNATIUS THIRD EDITION PAGE 11